The retina is an out growth of the :
1. Mesencephalon
2. Diencephalon
3. Telencephalon
4. Pons

Correct answer: 2. Diencephalon

Explanation: B i.e. Diencephalon - Forebrain (prosencephalon) consists of telencephalon (anterior or rostral part) and diencephalon (posterior or caudal part). - Telencephalon forms cerebral hemisphere and their cavities -- lateral ventricle and part of 3rd ventricle- Diancephalon forms - optic cup & stalkQ, pituitary, thalmus, hypothlmus, epithalmus, pineal gland (or epiphysis), & 3rd ventricle (most part)- Retina develops from walls of optic cupQ. The outer thinner layer becomes retinal pigmented epithelium and inner thicker layer forms neural layer of retina.